Which one of the following is the most sensitive and specific screening test to detect breast cancer?
1. Regular X-ray
2. Self breast examination
3. Mammography
4. Regular biopsy

Correct answer: 3. Mammography

Explanation: Ans. is 'c' i.e., Mammography Mammography is most sensitive and specific in detecting small tumors that are sometimes missed on palpation. Screening Test (s) Disease screened Papanicolaou (Pap) smear test Cervical cancer Breast self examination (BSE) Breast cancer Mammography Breast cancer Bimanual oral examination Oral cancer ELISA, RAPID, SIMPLE HIV (National AIDS Control Programme) Urine for Sugar, Random blood sugar Diabetes mellitus AFP (alpha-feto-protein) Developmental anomalies in fetus Digital rectal examination (DRE) Prostate cancer Prostate specific antigen (PSA) Prostate cancer Fecal occult blood test Colorectal cancer